All are seen in Malignant hyperthermia except:
1. Bradycardia
2. Hyperkalemia
3. Metabolic acidosis
4. Hypertension

Correct answer: 1. Bradycardia

Explanation: Ans. is 'a' i.e. Bradycardia * C/f of Malignant Hyperthermia:Heat production exceeds the heat loss in the body to cause a rise of temperature of at least 2deg c/h.It is characterized byHypertensionHypercapniaHyperkalemia*Metabolic Acidosis*Arrhythmia (Tachycardia)Diffuse intravascular coagulationPyrexia* There isincreased hemolysis*increase Creatine phosphatase*increase Transaminase* Management:Early Withdrawl of the volatile anaesthetic agent is of utmost importanceCool the patientAcidosis correctedAdminister Dantrolene*Correction of HyperkalemiaPromote diuresisGive Dexamethasone